In a patient with enteric fever bone and joint infection is seen specially in children having -
1. Aplastic anemia
2. HIV disease
3. Sickle cell disease
4. HbsAg + ve hepatitis

Correct answer: 3. Sickle cell disease